CBNAAT is
1. Category Based Nucleic Acid Amplification Test
2. Case Based Nucleic Acid Amplification Test
3. Clinical Based Nucleic Acid Amplification Test
4. Cartridge Based Nucleic Acid Amplification Test

Correct answer: 4. Cartridge Based Nucleic Acid Amplification Test

Explanation: Cartridge Based Nucleic Acid Amplification Test Ref: Park 25th Edition;Pg. No:197